Which stage of syphilis is most contagious ?
1. Primary
2. Secondary
3. Early latent
4. Later latent

Correct answer: 2. Secondary